In a neonate, jaundice appears for the first time in the 2nd week. The following is not a cause -
1. Galactosemia
2. Rh Incompatibility
3. Hypothyroidism
4. Breast milk jaundice

Correct answer: 2. Rh Incompatibility

Explanation: Ans. is 'b' i.e., Rh Incompatibility